Germ theory of disease was proposed by?
1. Louis Pasteur
2. Ronald Ross
3. Edward jenner
4. Robert koch

Correct answer: 1. Louis Pasteur

Explanation: Ans. (a) Louis PasteurRef: Park 20/e, p 5, Ananthnarayan 7/e, p 5-7, Jawetz's 24/e, chapter 34